Appropriate material for antenatal diagnosis of genetic disorders includes all of the following except
1. Fetal blood
2. Amniotic fluid
3. Chorionic villi
4. Maternal urine

Correct answer: 4. Maternal urine

Explanation: Ans. is d, i.e. Maternal urineRef. Dutta Obs. 9/e, p 103Prenatal genetic diagnosis can be made by:Chorion villi samplingAmniocentesis: Amniotic fluidCordocentesis:Fetal blood tests like Triple test/Maternal serum alpha fetoprotein done on maternal blood.